Ionization radiation acts on tissue leading to
1. Linear acceleration injury
2. Excitation of electron from orbit
3. Formation of pyramidine dimer
4. Thermal injury

Correct answer: 2. Excitation of electron from orbit

Explanation: B i.e. Excitation of electron from orbit